Transplantation of kidney from mother to son is an example of
1. autograft
2. allograft
3. isograft
4. xenograft

Correct answer: 2. allograft